Bishop scoring includes all except
1. Fetal station
2. Cervical dilatation
3. Fetal flexion
4. Cervical consistency

Correct answer: 3. Fetal flexion

Explanation: Fetal flexion is not a component in Bishop scoring system.